Facial colliculus is seen in
1. Midbrain
2. Pons
3. Medulla
4. Interpeduncular foosa

Correct answer: 2. Pons

Explanation: The motor fibres of the facial nerve undergo a loop course around the dorsomedial aspect of abducent nerve nucleus, producing the facial colliculus in the pons. In the early embryogenesis, the motor nucleus of facial nerve is located dorsolateral to cranial end of abducent nucleus. Gradually, it migrates in close proximity to the Spinal nucleus of trigeminal nerve which is called "NEUROBIOTAXIS". (Ref: Vishram Singh textbook of clinical neuroanatomy, second edition pg 80)